Motorcyclist fracture among the following is -
1. Ring facture
2. Sutural separation
3. Comminuted fracture of vault of skull
4. Fracture base of skull into anterior & posterior halves

Correct answer: 4. Fracture base of skull into anterior & posterior halves

Explanation: The synopsis of forensic medicine & toxicology ;Dr k.s narayan reddy ; 28th edition ; pg.no. 151 . At autopsy the base of the skull is seen divided into 2 halves each moving independently of each other like a hinge ,it is called motor cyclist's fracture.